Which of the following has important role in initiation and maintenance of primitive streak
1. FGF-8
2. BMP-4
3. EGRF
4. Nodal gene

Correct answer: 4. Nodal gene

Explanation: D i.e. Nodal gene The primitive streak is initiated and maintained by expression of nodal, a member of transforming growth factor /3 (TGF - 13) superfamilyQ.